Dosage of benzyl penicillin in treatment of primary syphilis is :
1. 1.2 MU single i.m.
2. 1.2 MU single i.v.
3. 2.4 MU single i.m.
4. 4.8 MU single i.m.

Correct answer: 3. 2.4 MU single i.m.